Cicatrising alopecia with perifollicular blue-gray patches is most commonly associated with:
1. Pitting of nails
2. Whitish lesions in the buccal mucosa
3. Arthritis
4. Discoid plaques in the face

Correct answer: 2. Whitish lesions in the buccal mucosa

Explanation: Cicatrising alopecia with perifollicular blue-gray patches is likely to be associated with whitish lesions in buccal mucosa which is characteristic of Lichen planus. Ref: Cicatricial Alopecia: An approach to diagnosis and management, By Vera Price, Paradi Mirmirani, Page 1-5.